Which of the following drugs does not cross placenta?
1. Heparin
2. Warfarin
3. Dicumarol
4. Nicoumalone

Correct answer: 1. Heparin

Explanation: Heparin due to its large molecular size does not cross the placental barrier therefore can be used in pregnancy. From medical pharmacology padmaja 4th edition Page no 335